Term Colorado stain was given by
1. McKay
2. Greene
3. Dean
4. Knutson

Correct answer: 1. McKay